Which of the following is not true regarding tetracycline ?
1. It is not teratogenic
2. It can cause tooth discoloration
3. It can result in superinfection
4. It can lead to pseudomembranous colitis

Correct answer: 1. It is not teratogenic